The mode of action of Lanatoprost in glaucoma:
1. Increasing trabecular outflow
2. Releasing pupillary block
3. Decreasing aqueous humour formation
4. Increasing uveoscleral outflow

Correct answer: 4. Increasing uveoscleral outflow

Explanation: Lantanoprost is prastoglandin in nature and decrease the intraocular pressure by increasing uveoscleral outflow of aqueous humour. It is very good adjunctive therapy along with betablockers, dorzolamide and pilocarpine. Ref: A.K KHURANA (2005), Chapter 9, "Glaucoma", In the book, "Opthalmology", 3rd Edition, Newdelhi, Page 229 ; KDT 5th Edition, Page 88